"Lemon sign" & "Banana sign" on Antenatal USG is seen in
1. Down syndrome
2. Chiari Malformation
3. Turner syndrome
4. Klienfelters syndrome

Correct answer: 2. Chiari Malformation

Explanation: *The Anterior bossing of frontal bone is called as Lemon sign *Wrapping of cerebellum around brain stem is called as Banana sign *Lemon sign and Banana sign are features of Chiari -II Malformation and also seen with spina bifida.